Which of the following is the investigation of choice in a pregnant lady at 18 weeks of pregnancy with pasthistory of delivering a baby with Down's syndrome:
1. Triple screen test
2. Amniocentesis
3. Chorionic villous biopsy
4. Ultrasonography

Correct answer: 2. Amniocentesis